Asherman syndrome will produce
1. Infertility
2. Secondary amenorrhoea
3. Recurrent abortion
4. All of these

Correct answer: 4. All of these

Explanation: Ans: d (All of these)Ashermans syndrome produce:InfertilitySecondary amenorrhoeaRecurrent abortionAsherman syndrome is an important uterine cause of secondary amenorrhoea.When there is absence of menstruation for 6 months or more following normal menstruation, it is called secondary amenorrhoea.Causes of Asherman syndrome:Uterine adhesions or uterine synechiae are formed following post abortal and puerperal curettage.Also formed following diagnostic curettage for DUB.Rarely it follows TB endometritis.Uterine packing to control PPH.Menstrual abnormalities in Asherman syndrome includeHypomenorrhoeaOligomenorrhoeaAmenorrhoea.Investigations:Progesterone challenge test is negative.Hysterosalpingography shows honey comb appearance.Hysteroscopy reveals the extent of adhesions directly.Treatment:Adhesiolysis followed by insertion of IUCD is effective.Addition of OCP for 3 months may help in the regeneration of endometrium.